All are features of pesudopancreatic cyst, except
1. Follows acute pancreatitis
2. Lined by false epithelium
3. May regress spontaneously
4. Treatment of choice is percutaneous aspiration

Correct answer: 4. Treatment of choice is percutaneous aspiration

Explanation: Ans. is 'd i.e., Treatment of choice is percutaneous aspiration